Which of the following are uses of danazol?
1. Endometriosis
2. Menorrhagia
3. Hereditary angioneurotic edema
4. All of the above

Correct answer: 4. All of the above

Explanation: Ans. is 'd' i.e., All of the above Danazole* It has weak androgenic, anabolic and progestational activity.* The most prominent action is suppression of gonadotropin (FSH/LH) front pituitary.* The most important use is endometriosis. Other uses are fibrocystic breast disease, infertility, hereditary angioneurotic edema, menorrhagia, ITP, Christmas disease and hemophilia.* Side effects are complete amenorrhea, androgenic effects (acne, hirsutism, decreased breast size, edema, weight gain), loss of libido in man, hot flushes in women, night sweats and muscle cramps. Liver enzymes may be raised.